In Crude death rate the population is taken as on
1. Ist March
2. I st July
3. Ist April
4. 15th August

Correct answer: 2. I st July

Explanation: Ref: Parks 23rd edition pg 57 Mid year population is considered. Hence July 1st is taken.